Quarantine period for yellow fever is:
1. 1 day
2. 2 days
3. 6 days
4. 10 days.

Correct answer: 3. 6 days

Explanation: Quarantine period for Yellow fever 6 days Option 1, 2, 3, 4 Measures for the travelers taken at the international airports in India: Unvaccinated travelers coming from yellow fever endemic zone to India will be kept in quarantine for 6 days Breteau index (for larval monitoring) or the Aedes aegypti index should be less than one; surrounding 400 metres of airport. (Breteau index (BI): Number of positive containers for Aedes x 100 / Number of houses inspected.)